True about aminoglycoside are all except ?
1. Are bacteriostatic
2. Distributed only extracellularly
3. Excreted unchanged in urine
4. Teratogenic

Correct answer: 1. Are bacteriostatic

Explanation: Ans. is 'a' i.e., are bacteriostatic o Aminoglycosides are bactericidal antibiotics. o They are distributed only extracellularly so the volume of distribution is nearly equal to the extracellular fluid volume. o They are not metabolized, they are excreted unchanged in urine. o Aminoglycosides (streptomycin) should be avoided during pregnancy as they are teratogenic.